Pleural effusion can be detected clinically when the amount of fluid is more than:
1. 200 ml
2. 300 ml
3. 400 ml
4. 500 ml

Correct answer: 4. 500 ml

Explanation: Ans. D i.e. 500 ml